All are presentation of retinoblastoma except –
1. Leucocoria
2. Squint
3. Cataract
4. Glaucoma

Correct answer: 3. Cataract

Explanation: Leucocoria, squint (strabismus) and secondary glaucoma occur in retinoblastoma.